An immediate denture patient should not remove immediate denture for how many hours post insertion
1. 6 hours
2. 12 hours
3. 24 hours
4. 48 hours

Correct answer: 3. 24 hours

Explanation: Because of swelling, premature removal of immediate denture post insertion can make its reinsertion impossible for 34 days. For the same reason, patients are directed not to remove immediate dentures for 24 hours after insertion.